What is true about Factories Act:
1. Cannot be employed under 14
2. Cannot be employed under 14 for dangerous jobs
3. Maximum 72 hours per week for adolescents
4. It was can be employed

Correct answer: 1. Cannot be employed under 14

Explanation: Ans. a. Cannot be employed under 14THE FACTORIES ACTScope: The Act defines factory as an establishment employing 10 or more persons where power is used and 20 or more person where power is not used.Work related rules:Employment of young persons.Employment prohibited foe age less than 14 years.15-18 years old adolescents to be declared fit by "Certifying surgeon"; will work only between 6 AM and 7 PM.Employment prohibited in certain dangerous occupationsHours of work:A maximum of 4 Vi hours of work per day for adolescents.48 hours per week (9 hours per day).Maximum 60 hours per week (Including overtime).Leave with age:1 day per 15 days of work for adolescentsLeaves can be accumulated up to 40 days.Health, Safety and Welfare recommendations:A minimum of 500 cubic feet square space per workers.1 safety officer for per 100 workers1 canteen for greater than 250 workers.1 Creche for greater than 30 women workersUnder factories act, there are 29 disease which are modifiable.